All of the following cause macrocytic anaemia, except -
1. Primaquine
2. Methotrexate
3. Trimethoprin
4. Azathioprine

Correct answer: 1. Primaquine

Explanation: Ans. is 'a' i.e., Primaquine Some important drugs causing megaloblastic anaemia o Methotrexate o Phenobarbitone o Zidovudine * o Triamterene o Trimethoprim o Phenytoin o Pentamidine o 5-Fluorouracil o Primidone o Azathioprine Cytosine arabinoside